The most sensitive tissue to radiation -
1. Skin
2. Liver
3. Gonads
4. Spleen

Correct answer: 3. Gonads

Explanation: Ans. is 'c' i.e. Gonads Organs which have a high dividing rate are more sensitive to radiation.Bone marrow > Gonads > mucosal lining of GIT are most sensitive.Organs in which cells are stable (not multiplying e.g. heart, skeletal muscle, nerves, cartilage*) are radioresistant.